Most common serotype of HPV associated with cervical carcinoma is:-
1. HPV 11
2. HPV 16
3. HPV 31
4. HPV 18

Correct answer: 2. HPV 16

Explanation: More than 90% of CIN is attributed to human papillomavirus (HPV) infection. Only certain types of HPV cause high-grade intraepithelial lesions and cancer (HPV-16, -18, -31, -33, -35, -39, -45, -51, -52, -56, -58, -59, -68). Type 16 is the most common form of HPV found in invasive cancer and in CIN 2 and CIN3; HPV-18 is more specific than HPV-16 for invasive tumors i.e. HPV 18 is the most malignant. Please note: Usually, HPV infections do not persist. Most women who are exposed have no clinical evidence of disease, and the infection is eventually suppressed or eliminated. Other women exhibit low-grade cervical lesions that mostly regress spontaneously. In the vast majority of cases, the infection will clear in 9 to 15 months. A small minority of women exposed to HPV develops persistent infection that may progress to CIN.